Chief Judicial Magistrate can sentence a guilty for imprisonment upto:
1. 3 years
2. B. 5 years
3. 7 years
4. Life imprisonment

Correct answer: 3. 7 years

Explanation: Ans. 7 years